During extraction, it is seen that the tuberosity is fractured but remains attached to the mucoperiosteum with an intact blood supply. The treatment is:
1. Remove the tuberosity
2. Refer to an oral surgeon
3. Elevate a flap and do transosseous wiring
4. Reposition the fragments and stabilize with sutures

Correct answer: 4. Reposition the fragments and stabilize with sutures